A 5-year-old residential school child walks in to your clinic with the habit of thumb sucking in association with bruxism
What would be probable cause
1. Food habits
2. Nasal septal deviation
3. Habitual
4. Psychological

Correct answer: 4. Psychological